Tinea cruris is caused by -
1. Tricophyton rubrum
2. M.Can is
3. T.verrucosum
4. T.tonsurans

Correct answer: 1. Tricophyton rubrum

Explanation: Ans. is 'a' i.e. Tricophyton rubrum Some clinical features of dermatophyte infectionSkin diseaseLocation of lesionsClinical featuresFungi most Frequently ResponsibleTinea corpus ringwormNonhairy, smooth skinCircular patches with advancing red. vesiculated border and central scaling, pruritic.T. rubrum, E. floccosumTinea pedis (athlete's foot)Interdigitai spaces on feet of person wearing shoes.Acute: itching, red vesicular. Chronic; itching, scaling, fissuresT. rubrum, T mentogrophytes E.floccosumTinea cruris (jock itch)GroinErythematous scaling lesion in intertriginous area. Pruritic.T. rubrum. T.mentogrophytes, E. floccosumTinea capitisScalp hair, Endothrix: fungus inside hair shaft Ectothrix fungus on surface of hairCircular bald patches with short hair stubs or broken hair within hair follicles. Kerionrare. Microsporum-infected hairs fluoresce.T mentogrophytes, M canisTinea barbaeBeard hairEdematous, erythematous lesionT.mentagrophytesTinea unguium (onychomycosis)NailNails thickened or crumbling distally; discolored; lusterless, usually associated with tinea pedis.T. rubrum, T mentagrophytes. E floccosumDermatophytid (id reaction)Usually sides and flexor aspects of fingers, palm Any site on body.Pruritic vesicular to bullous lesions Most commonly associated with tinea pedis.No fungi presents in lesion. May- become secondarily infected with bacteria.